Components of TOF are all except
1. VSD
2. Subpulmonary stenosis
3. Right ventricular hypertrophy
4. PDA

Correct answer: 4. PDA

Explanation: Tetralogy of Fallot is the most common cause of cyanotic congenital heart disease and accounts for about 5% of all congenital cardiac malformations . The fourcardinal features are (1) VSD; (2)right ventricular outflow tract obstruction (subpulmonic stenosis); (3) overriding of the VSD by the aorta; and (4) right ventricular hypertrophy . All of the features of tetralogy of Fallot result from anterosuperior displacement of the infundibular septum leading to abnormal septation between the pulmonary trunk and the aortic root. (Robbins Basic pathology,9th edition.pg no.404)